A 33-year-old man is diagnosed with essential hypertension. He is started on a blood pressure medication, and after 6 weeks, he notes fatigue, rash over his face, joint aches, and effusions. A serum antinuclear antibody (ANA) test is positive. Wof is the most likely agent
1. Propranolol
2. Nifedipine
3. Thiazide diuretic
4. Hydralazine

Correct answer: 4. Hydralazine

Explanation: VASODILATORS Hydralazine/Dihydralazine Adverse effects:- are frequent and mainly due to vasodilatation. * Facial flushing, conjunctival injection, throbbing headache, dizziness, palpitation, nasal stuffiness, fluid retention, edema, CHF. * Angina and MI may be precipitated in patients with coronary artery disease. * Postural hypotension is not prominent because of little action on veins: venous return and c.o. are not reduced. * Paresthesias, tremor, muscle cramps, rarely peripheral neuritis. * Lupus erythematosus or rheumatoid arthritis like symptoms develop on prolonged use of doses above 100 mg/day. This is more common in women and in slow acetylators. Ref:- kd tripathi; pg num:-567